Which one of the following complexes of periodontal micro-organisms is associated with bleeding on probing?
1. Red Complex
2. Orange Complex
3. Green Complex
4. Yellow Complex

Correct answer: 1. Red Complex